Habbs striae are seen in ?
1. Buphthalmos
2. Keratoglobus
3. Trachoma
4. Keratoconus

Correct answer: 1. Buphthalmos

Explanation: Ans. is 'a' i.e., Buphthalmos Examination findings of primary congenital glaucoma (buphthalmos) First sign is corneal edema with watering of eye with marked photophobia Haab striae (Discrete corneal opacities appear as lines with double contour due to rupture in Descemets membrane) Cornea is hazy with frosted glass appearance. Corneal enlargement Thin & blue sclera Deep anterior chamber Lens is antero- posteriorly flat and may be subluxated backward Iridodonesis (tremulous iris) and atrophic patch on iris Large eye (Buphthalmos or hydrophthalmos) Variable cupping and atrophy of disc Raised IOP (neither acute nor marked) Axial myopia due to increased axial length which may give rise to anisometropic amblyopia